Hormonal abnormalities in men and post menopausal women suffering from rheumatoid arthritis include the following except
1. Decreased testosterone
2. Decreased luteinizing hormone
3. Decreased dehydroepiandrosterone
4. Decreased thyroid autoantibodies

Correct answer: 4. Decreased thyroid autoantibodies

Explanation: Answer- D. Decreased thyroid autoantibodiesMen and postmenopausal women with RA have lower mean serum testosterone, luteinizing hormone (LH) and dehydroepiandrosterone (DHEA) levels than control populations.